Pulmonary surfactant is secreted by-
1. Type I pneumocytes
2. Type II pneumocytes
3. Clara cells
4. Bronchial epithelial cells

Correct answer: 2. Type II pneumocytes

Explanation: Ans. is 'b' i.e., Type II Pneumocytes * Surfactant is produced by type II pneumocytes.